One of the following indicates death of fetus in uterus :
1. Spalding sign
2. Failure of uterus to enlarge
3. Blood stained discharge
4. Absence of fetal movements

Correct answer: 1. Spalding sign

Explanation: Spalding sign